Drug used to prevent premature birth includes all except-
1. Ritodrin
2. Ergometrine
3. Magnesium sulfate
4. Atosiban

Correct answer: 2. Ergometrine

Explanation: Ans. is 'b'i.e., Ergometrine Tocolyticso These drugs are used to decrease uterine contractions to delay the labour when there is premature onset of contraction. Tocolytic drugs are b2-agonists (ritodrin), magnesium sulfate, ethyl alcohol, progesterone, diazoxide, calcium channel blocker (nifedipine), atosiban (oxytocin antagonist), NSAIDs and nitrate.